Duration of treatment in multibacillary leprosy according to WHO is –
1. 6 months
2. 1 year
3. 2 years
4. 5 years

Correct answer: 2. 1 year